The vector of Japanese B encepalitis virus is -
1. Anopheles mosquito
2. Culex mosquito
3. Aedes mosquito
4. All of the above

Correct answer: 2. Culex mosquito

Explanation: Culex triaeniorhynchus, a rural mosquito is a principal vector
REF:ANATHANARAYANAN MICROBIOLOGY NINTH EDITION PAGE.520